In case of cervical root fracture splitting is done for:
1. 2weeks.
2. 4weeks
3. 2months.
4. 4months.

Correct answer: 4. 4months.

Explanation: Usually splitting is done for 2-4 week but in cervical root fracture 4 months are required due to high mobility.